No prior immune suppression is helpful in which type of graft rejection?
1. Acuterejection
2. Hyperacute rejection
3. Chronic rejection
4. None of the above

Correct answer: 2. Hyperacute rejection

Explanation: Ans is 'b' i.e. Hyperacute rejectiono Hyperacute rejection is caused by ABO incompatibility and preformed cytotoxic antibodies against donor HLA antigens. Therefore immunosuppressant is not helpful.